Pain Scale (CHEOPS) for rating potoperative pain in children includes all except
1. Cry
2. Touch
3. Torso
4. Oxygen saturation

Correct answer: 4. Oxygen saturation

Explanation: D. i.e. Oxygen satyration 10 division visual analogue scale is used to indicate the severity of painQ. Mc Gill questionnaire provide pain rating index. CHEOPS, which measures crying, facial expression, verbal expression, touch position, body position (torso) and leg positionQ, is suitable for wide range of ages including childrenQ